The predominant symptom/sign of pheochromocytoma is:
1. Sweating
2. Weight loss
3. Orthostatic hypotension
4. Episodic hypertension

Correct answer: 4. Episodic hypertension

Explanation: Answer is D (Episodic Hypertension): The predominant manifestation of Pheochromocytoma is Hypertension which classically presents as Episodic Hypertension (Sustained Hypertension and Orthostatic Hypotension may also be seen). 'The dominant sign is Hypertension. Classically patients have episodic hypertension, but sustained hypertension is also common' - Harrison